In Sickel cell disease, aplastic crisis is due to
1. Herpes infection
2. Measles infection
3. Parvo Virus B19 infection
4. Rubella infection

Correct answer: 3. Parvo Virus B19 infection

Explanation: In Sickel cell disease, due to infection of red cell progenitors by ParvoVirus B19 infection aplastic crisis occurs.